Superantigen causes -
1. Polyclonal activation of T-cells
2. Stimulation of B cells
3. Enhancement of phagocytosis
4. Activation of complement

Correct answer: 1. Polyclonal activation of T-cells